Which one of the following drugs is not a uterine relaxant ?
1. Isoxsuprine
2. Dopamine
3. Salbutamol
4. Terbutaline

Correct answer: 2. Dopamine